Hemorrhagic fever caused by viruses are all EXCEPT:
1. Rocky Mountain spotted fever
2. Yellow fever
3. Dengue hemorrhagic fever
4. Kyasanur Forest disease

Correct answer: 1. Rocky Mountain spotted fever

Explanation: ANSWER: (A) Rocky Mountain spotted feverREF: Jawetz, Melnick, & Adelbergs Medical Microbiology, 24TH edition chapter 38. Arthropod- Borne & Rodent-Borne Viral Diseases, http:/./en.uukipedia.org/wiki/Viral_hemorrhagic_fever'Rocky Mountain spotted fever is a rickettsial disease not viral7The viral hemorrhagic fevers (VHFs) are a diverse group of animal and human illnesses that are caused by four distinct families of RNA viruses: the Arenaviridae, Filoviridae, Bunyaviridae, and Flaviviridae. All types of VHF are characterized by fever and bleeding disorders and all can progress to high fever, shock and death in extreme casesEtiologic agents of viral hemorrhagic fevers:FamilyGenusSpedesArenaviridaeGenus Arena \irusLassa fever and Argentine, Bolivian, Brazilian and Venezuelan hemorrhagic feversBunyaviridaeGenus HantavirusHantan virus (Korean hemorrhagic fever)Seoul virus (hemorrhagic fever with renal syndrome)Genus NairovirusCrimean-Congo hemorrhagic fever (CCHF)Genus PhlebovirusRift Valley fever (RVF)Sand-fly (Phlebotomus) feverFiloviridaeGenus Marburg virusMarburg virusGenus Ebola virusEbola virusFlaviviridaeGenus FlavivirusesDengueYellow feverKyasanur Forest disease virusOmsk hemorrhagic feverTogaviridaeGenus Alpha virusChikungunya virusThe most recently recognized virus capable of causing hemorrhagic fever is Lujo virus, a newT member of the arenaviruses described in 2009 and found in South Africa.